Investigation of choice for DVT is-
1. Doppler USG
2. Angiography
3. CT scan
4. MRI

Correct answer: 1. Doppler USG

Explanation: Ans. is 'a' i.e., Doppler USG o Doppler USG is the first investigation of choice for DVT.